Which is not true regarding amyloid
1. Intra cellular accumulation of fibrillar protein
2. Red-green birefringence seen when amyloid materal is under polarized light
3. A good method of diagnosis is abdominal fat pad biopsy
4. All of the above

Correct answer: 1. Intra cellular accumulation of fibrillar protein

Explanation: Ans. is 'a' i.e., Intracellular accumulation of fibrillar proteinIn amyloidosis there extracellular deposition